A patient of DVT was stabilized on warfarin. This person was given phenobarbitone. Which of the following is the likely interaction between the two drugs?
1. Phenobarbitone increases the absorption of warfarin
2. Phenobarbitone increases the metabolism of warfarin
3. Phenobarbitone displaces warfarin from plasma protein binding sites
4. All of the above

Correct answer: 2. Phenobarbitone increases the metabolism of warfarin

Explanation: -- Barbiturates like phenobarbitone are powerful enzyme inducers -- These increase the metabolism of warfarin and decrease its anticoagulant effect.